Umbilical cord has:
1. 1 vein and 2 arteries
2. 2 vein and 2 arteries
3. 1 vein and 1 artery
4. 2 veins and 1 artery

Correct answer: 1. 1 vein and 2 arteries

Explanation: CONTENTS OF UMBILICAL CORD: - 2 Umbilical arteries - 1 Umbilical vein - Rudimentary allantois - Remnant of omphalomesenteric / vitellointestinal duct - Wharton's jelly